Diffusion hypoxia is seen during:
1. Induction of anaesthesia
2. Recovering anaesthesia
3. Preoperatively
4. Postoperatively

Correct answer: 2. Recovering anaesthesia

Explanation: B i.e. Recovering anesthesia